March fracture involves -
1. 1st metacarpal
2. lst metatarsal
3. 2nd metacarpal
4. 2nd metatarsal

Correct answer: 4. 2nd metatarsal

Explanation: Ans. is 'd' i.e., 2nd metatarsal o March fracture is fatigue (stress) fracture of metatarsals.# This fracture is often encountered in military personnel who indulge in frequent and prolonged marching and hence the name.o It is also encountered in police officers, dancers, nurses and surgeons, who require standing or dancing for long duration.o The fracture usually affects the shaft or neck of the second and third metatarsal bone.